In calculating Dependency Ratio, the numerator is expressed as
1. Population under 10 years and 60years above
2. Population under 15 years and 60years above
3. Population under 10 years and 65years above
4. Population under 15 years and 65years above

Correct answer: 4. Population under 15 years and 65years above

Explanation: The proportion of persons above 65 years of age and children below 15 years of age are considered to be dependent on the economically productive age group. The ratio of the combined age groups 0-14 years plus 65 years and above to the 15-65 years age group is referred to as the total dependency ratio. Reference : Park's textbook of preventive and social medicine, 23rd edition , pg no:484